True about dumping syndrome is all except;
1. Caused by early emptying of stomach
2. Medically managed
3. Controlled by small diets
4. Needs Re-surgery

Correct answer: 4. Needs Re-surgery

Explanation: Dietary modification is the cornerstone of therapy for patients with dumping syndrome. Small, multiple meals devoid of simple carbohydrates coupled with elimination of liquids during meals is important. Anti-diarrheals and anticholinergic agents are complementary to diet. Acarbose, an alpha-glucosidase inhibitor that delays digestion of ingested carbohydrates, has also been shown to be beneficial in the treatment of the late phases of dumping. The somatostatin analogue octreotide has been successful in diet-refractory cases